Ureteric colic characterized by all except -
1. Acute onset
2. Stillness of the patient-
3. Responds to antispasmodics
4. Radiates to the groin

Correct answer: 2. Stillness of the patient-